Which component of the eye has maximum refractive index?
1. Anterior surface of the lens
2. Posterior surface of the lens
3. Centre of the lens
4. Cornea

Correct answer: 3. Centre of the lens

Explanation: Refractive index increases from 1.386 in the peripheral cortex to 1.41 in the central nucleus of the lens. Because both the curvature and refractive index of the lens increase from the periphery toward the center, each successive layer of fibers has more refractive power. The anterior capsule surface of the lens has a greater refractive index than the posterior capsular surface (1.364-1.381 compared with 1.338-1.357). Ref: Ophthalmology edited by Myron. Yanoff, Jay S. Duker, James J. Augsburger, 2009, Page 383.